Patients are categorized on the basis of chances of survival in Disaster management;
1. Triage
2. Tagging
3. Mitigation
4. Surge capacity

Correct answer: 1. Triage

Explanation: Triage Consists of rapidly classifying the injured on the basis of severity of their injuries and on the likelihood of their survival with prompt medical intervention First come first serve is NOT followed in emergencies Triage yields best results when carried out at the site of disaster COLOR CODING: RED YELLOW GREEN BLACK high priority treatment or transfer medium priority ambulatory patients dead/moribund patients